The highest incidence of Gestational Trophoblastic Disease is in :
1. Australia
2. Asia
3. North America
4. Western Europe

Correct answer: 2. Asia

Explanation: Ans. is b i.e. Asia 'Incidence of gestational trophoblastic disease varies widely with figures as high as 1 in 120 in some areas of Asia and South America, compared to 1 in 1200 in the united states." Incidence and Risk factors for H. molc? Incidence is maximum in Asia and South America and least in U.S. Risk is more in women too elderly (> 35) or too younger (< 18 years). Low socioeconomic status. History of molar pregnancy. Diet deficient in protein, folic acid and carotene. Blood group A women married to group 0 men. Note : Maternal age > 35 years and dietary deficiencies are risk factors for complete mole whereas partial mole is linked to the use of oral contraceptive pills and history of irregular menstruation.